Xanthogranulomatous pyelonephritis is most often due to?
1. E. coli
2. Proteus
3. Pseudomonas
4. Klebsiella

Correct answer: 2. Proteus